Deafness is associated with all except -
1. Cockayne's syndrome
2. Alstrom's syndrome
3. Alport's syndrome
4. Abetalipoproteinaemia

Correct answer: 4. Abetalipoproteinaemia